Cardiolipin is found in
1. Outer membrane of mitochondria
2. Inner membrane of mitochondria
3. Lysosomes
4. Rough endoplasmic reticulum

Correct answer: 2. Inner membrane of mitochondria

Explanation: Phosphatidyl Glycerol It is formed by esterification of phosphatidic acid to glycerol. When two molecules of phosphatidic acid are linked with a molecule of glycerol, phosphatidyl glycerol or cardiolipin is formed. It is the major lipid of mitochondrial membrane. Commercially, it is extracted from the myocardium. Decreased cardiolipin level leads to mitochondrial dysfunction, and is accounted for heart failure, hypothyroidism and some types of myopathies.Ref: DM Vasudevan - Textbook of Biochemistry, 8th edition, page no: 81